Bowen's disease is
1. Benign neoplasm of the G.I.T
2. Intra epithelial carcinoma
3. Vesiculobullous Lesion of skins
4. Ulcerative lesion of G.I.T

Correct answer: 2. Intra epithelial carcinoma